Organ of corti is the sense organ of-
1. Olfaction
2. Hearing
3. Positional sense
4. Vision

Correct answer: 2. Hearing

Explanation: Ans. is 'b'i.e., Hearing o Organ of corti is the sense organ of hearing & situated on basilar membrane.o Components of organ of corti:# Tunnel of Corti: Formed by inner & outer rods.# Hair cells: They are important receptor cells of hearing & transducer sound energy into the electrical energy# Inner hair cells: Form a single row & more important in the transmission of auditory impulse# Outer hair cells : Arranged into three or four rows# Supporting cell: Deiter cell& Hensen Cell# Tectorial membrane : Consists of gelatinous matrix with delicate fibres.